Which of the following is not a mycobacterium tuberculosis complex organism?
1. M. Africanum
2. M. Tuberculosis
3. M. Bovis
4. M. Kansasii

Correct answer: 4. M. Kansasii

Explanation: Mycobacterium tuberculosis complex organisms are obligate pathogens which display >95% DNA / DNA homology: M.tuberculosis, M.bovis, M. bovis bacille Calmette-Guerin (BCG), M.africanum, M.microti, and M.canettii. Like all microbacteria, members of the M.tuberculosis complex are aerobic, non-spore-forming, non-motile, slightly curved or straight roads.